In TRIAGE system for disaster management, which of the following color code denotes "high priority treatment and/or transfer"
1. Red
2. Green
3. Black
4. Yellow

Correct answer: 1. Red

Explanation: Red indicates high priority, Yellow signals medium priority, Green indicates ambulatory patients and black for dead or moribund patients.Park 23e pg: 802